Arterio-venous anastomosis is not seen in:
1. Sympathetic ganglia
2. Tip of Nose
3. Finger tip
4. Kidney

Correct answer: 4. Kidney

Explanation: Ans. D: KidneyShunts of simpler structure is found in the skin of nose, lips and external ear; thyroid gland, sympathetic ganglia etc.Specialized AV anastomosis are found in the skin of digital pads and nail bedsArteries of kidney are end-arteriesArterio-venous anastomosesIt is the communication between an artery and a vein.It serves the function of phasic activity of the organShunts of simple structure are found in the:- Skin of the:NoseLipsExternal ear- Mucous membrane of:NoseAlimentary canal- Coccygeal bodyErectile tissue of sexual organs- Tongue- Thyroid gland- Sympathetic gangliaSpecialized AV anastomoses is seen in the- Skin of digital pads- Nail beds